Papilloedema is characterised by all of the following EXCEPT-
1. Loss of retinal venous pulsations
2. Transient obscurations of vision
3. Sudden painless loss of vision
4. Disc oedema

Correct answer: 3. Sudden painless loss of vision

Explanation: Vision loss occurs in long standing papilloedema (not in acute pappiloedema), and that occurs in less than 25% of patients.
Post neuritic atrophy also occurs in long standing papilloedema and not acute papilloedema.